Which of the following has antioxidant property?
1. Selenium
2. Copper
3. Zinc
4. All

Correct answer: 4. All

Explanation: The activity of the antioxidant enzymes depends on supply of minerals : Manganese Copper Zinc Selenium Manganese, copper and zinc are required for the activity of superoxide dismutase. Selenium is required for the activity of glutathione peroxidase. REF: ROBBINS pathology 10th edition